Which of the following best defines the "Saccade"
1. Voluntary slow eye movements
2. Involuntary slow eye movement
3. Abrupt, involuntary slow eye movements
4. Abrupt, involuntary rapid eye movements

Correct answer: 4. Abrupt, involuntary rapid eye movements

Explanation: D i.e. Abrupt involuntary rapid eye movements Types of Eye Movements Versions Vergence Duction Sacadic Pursuit Voluntary/Involuntary Both eyes open, attempting to fixate a target, and moving in the same direction Both eyes open, fixing a target but moving in opposite directions synchronously, e.g. convergence or divergence Only one eye is open, the other covered or closed Abrupt, involuntary, quick fixation movements Q Slow following movements Voluntary and Involuntary movements